Insulin causes lipogenesis by all Except
1. Increasing acetyl coA carboxylase activity
2. Increases the transport of glucose in to the cell
3. Inhibits Pyruvate Dehydrogenase Complex
4. Decreases intracellular cAMP level

Correct answer: 3. Inhibits Pyruvate Dehydrogenase Complex

Explanation: Insulin rather increases the activity of Pyruvate Dehydrogenase Complex . Insulin increases the activity of acetyl Co-A carboxylase activity and thus has got the stimulatory effect on lipogenesis.Insulin increases the recruitment of GLUT to the surface of the various cell and thus increases the uptake of insulin various cells. Insulin has got an inhibitory effect on adenylyl cyclase activity and so causes dephosphorylation.